Maternal death is defined as death of woman while pregnant or within-
1. 14 days of the termination of pregnancy
2. 30 days of the termination of pregnancy
3. 42 days of the termination of pregnancy
4. 90 days of the termination of pregnancy

Correct answer: 3. 42 days of the termination of pregnancy

Explanation: Maternal death is defined as death of mother while pregnant or death within 42 days after termination of pregnancy. REF. PARK'S TEXTBOOK OF PREVENTIVE AND SOCIAL MEDICAL 21ST EDITION-514